Muller's sign is seen in?
1. Mitral stenosis
2. Aortic stenosis
3. Mitral regurguitation
4. Aortic regurgitation

Correct answer: 4. Aortic regurgitation

Explanation: Peripheral signs of AR - Muller's sign: Pulsations of the uvula. Collapsing pulse: Rapid upstroke, rapid down stroke and high volume. de Musset's sign: head nodding with pulse. Quincke's sign: Capillary pulsation in nail bed. Duroziez's sign: Femoral bruit. Hill's sign: popliteal cuff systolic pressure exceeding brachial cuff systolic BP more than 20mmHg. Lighthouse sign : Capillary pulsation on forehead. Rosenbach's sign: pulsatile liver. Gerhardt's sign: pulsatile spleen. Ref: Medicine, George Mathew, 4th edition, Pg No: 487